Which one of the following is a recognized X-Ray feature of rheumatoid arthritis?
1. Juxta-articular osteosclerosis
2. Bamboo spine
3. Bone erosions
4. Peri-articular calcification

Correct answer: 3. Bone erosions

Explanation: Rheumatoid arthritis is an autoimmune disease characterized by symmetric progressive polyarthritis. Inflammation of synovium cause cartilage destruction, and bone erosion. Bone erosion is the characteristic x-ray finding in a case of rheumatoid arthritis(RA). Xray findings in RA includes: Uniform joint space narrowing, symmetric joint involvement, marginal bone erosions, ulnar deviation of phalanges, radial deviation of radiocarpal joint, involvement of joints such as MCP, PIP and carpal. Ref: Physical Medicine and Rehabilitation Board Review By Sara J. Cuccurullo, Page 111; Examination Medicine By Nicholas Tailey, Simon O'Connor, Page 347; Differential Diagnosis in Conventional Radiology By Francis A. Burgener, 3rd Edition, Page 192-4.